In right handed person temporoparietal lobe injury leads to all, Except -
1. Wernicke's aphasia
2. Urinary incontinence
3. Acalculia
4. Superior quadrantic anopsia

Correct answer: 2. Urinary incontinence